Marital skew is the cause in development of which among the following disorder ?
1. Conduct disorder
2. Schizophrenia
3. Depression
4. Delusional disorder

Correct answer: 2. Schizophrenia

Explanation: #NAME?